A patient is brought to the emergency as a case of head injury, following a head on collision road traffic accident. His BP is 90/60 mrnHg. Tachycardia is present. Most likely diagnosis is:
1. EDH
2. SDH
3. Intracranial hemorrhage
4. Intraabdominal bleed

Correct answer: 4. Intraabdominal bleed

Explanation: The patient in this question is having tachycardia and hypotension. EDH, SDH and ICH is less likely to cause tachycardia and hypotension. So intra abdominal bleed is the best answer from the given choices. Ref: Sabiston Textbook Of Surgery, 17th Edition, Page 523.